Congenital hydrocele is best t/t by -
1. Eversion of sac
2. Excision of sac
3. Lords procedure
4. herniotomy

Correct answer: 4. herniotomy

Explanation: Congenital hydrocele are a special form of indirect inguinal hernia and are treated by herniotomy." Congenital hydrocele In this conditon the processus vaginalis remain patent so there is direct communication of the tunica vaginalis with the peritoneal cavity. The communicating orifice at the deep inguinal ring is too small for the development of hernia. It is present since birth*. In contradication to assumption. congenital hydrocele is not easily reducible* due to narrowness of the deep inguinal ring but when the child lies supine, it disappears. Ref : Bailey and love surgery text book 27th Ed.